Addition of 4% potassium sulfate and 0.4% borax to impression plaster helps in
1. Regulating setting time and expansion
2. Imparting colour and taste
3. Regulating strength and consistency
4. Adhering to tray during impression

Correct answer: 1. Regulating setting time and expansion